During a partial hysterectomy leaving the ovaries intact, the surgeon detaches the ovary from the uterus by transecting the ovarian ligament. This ligament developed from which embryonic structure?
1. Mesonephric duct
2. Urogenital folds
3. Gubernaculum
4. Processus vaginalis

Correct answer: 3. Gubernaculum

Explanation: The ovarian ligament and the round ligament of the uterus are formed by the gubernaculum. The mesonephric duct gives rise only to the vestigial epoophoron in the female. The urogenital folds form the labia minora. The processus vaginalis forms no adult female structures, while the paramesonephric ducts form the uterine tubes, uterus, cervix, and upper vagina.